The most common cause of recurrent epistaxis in a 15 year old female is
1. Juvenile nasopharyngeal fibroma
2. Rhinosporidiosis
3. Foreign body
4. Hematological disorder

Correct answer: 4. Hematological disorder

Explanation: Causes for recurrent epistaxis in the female child are haematological disorders like Haemophilia, Christmas disease, Vit. K deficiency, Scurvy Leukaemia, Aplastic anaemia, Thrombocytopenic and vascular purpura